Heamoptysis may occur in the following situations except:
1. Bronchiectasis
2. Pulmonary tuberculosis
3. Lung abscess
4. Bronchial asthma

Correct answer: 4. Bronchial asthma